Trachoma inclusion bodies in conjunctival smear are detected by:
1. Giemsa stain
2. Iodine stain
3. Immunofluorescent staining
4. All of the above

Correct answer: 4. All of the above

Explanation: Ans. All of the above